Function of DNA ligase -
1. Cutting of DNA at specific site
2. Preventing negative supercoil
3. To seal and nick okazaki fragments
4. DNA polymerization

Correct answer: 3. To seal and nick okazaki fragments

Explanation: Ans. is 'c' i.e., To seal and nick okazaki fragments ProteinFunctionDNA polymerasesDeoxynucleotide polymerizationHelicasesProcessive unwinding of DNATopoisomerasesRelieve torsional strain that results from helicase-induced unwindingDNA primaseInitiates synthesis of RNA primersSingle-strand binding proteinsPrevent premature reannealling of dsDNADNA ligaseSeals the single strand nick between the nascent chain and Okazaki fragments on lagging strand